Drug used for the management of ectopic pregnancy:
1. Methotrexate
2. Mifepristone
3. Procarbazine
4. Cytosine arabinoside

Correct answer: 1. Methotrexate

Explanation: Ans: a (Methotrexate) Ref: Shaw, 13th ed. p. 258Drugs used - Methotrexate. KC1, hyperosmolar glucose, Ru - 486, PGF,oc and Actinomycin D.Indication for Methotrexate in ectopic pregnancy:(1) Patient haemodynamically stable(2) Tubal diameter < 4 cm without cardiac activities(3) Beta-HCG level < 10,000SurgeryLinear salpingostomyLineal- salpingotomySalpingectomyMilking of tubeMedical management and drugs used in gynaecologial conditions is an often asked question. Go through the list given below.Endometriosis:To decrease vascularity of fibroid:OCPsMifepristoneProgesteroneProgesteroneDanazolDanazolGnRH analoguesGnRH analoguesLetrazole PCOD:DUB:Clomiphene citrateCyproterone acetateOCPsGnRH analoguesDexamethasone and prednisoloneMetforminOCPsProgesteroneMDPADanazolIUCDs - Mirena, progestasertEthamsylateAntifibrinolytics - EACAGnRH analoguesNSAIDsEmergency contraception:DrugsDoseShould be usedFailure rateEstrogen1 mg x 5daysWith in 72 hrs1.5 %Levonorgestrel2 tabs 12 hrs apartWith in 120 hrs(5 days)1.1%Mifepristone600 mg single doseWith in 72 hrs0.9%Centchroman2 tabs twice in 24 hrsWith in 24 hrs1%IUCD-With in 5 days0.1%Danazol400 mg b.d x 5 days 2.5%